Chloroma is a tumor of -
1. Soft tissue
2. Bone
3. Hemopoeitic cell
4. Ovary

Correct answer: 3. Hemopoeitic cell